Dienes stain is used for-
1. Compylobactor
2. Helicobacter
3. Rickettsiae
4. Mycoplasma

Correct answer: 4. Mycoplasma

Explanation: Ans. is 'd' i.e., Mycoplasma * Dienes method (Dienes staining) - For colonies of mycoplasma.* Dienes phenomenon - To detect swarming of proteus.